Most common histological type of the thyroid carcinoma is
1. Medullary type
2. Follicular type
3. Papillary type
4. Anaplastic type

Correct answer: 3. Papillary type

Explanation: Papillary thyroid cancer is the most common cancer. Occurs in 70-80% of patients diagnosed with thyroid cancer. Common in females and younger age group. According to Woolner's Classification there are 3 types. 1)Occult primary(less than 1.5cm) 2) Intrathyroidal 3) Extrathyroidal Reference: SRB's Manual of Surgery, 6th Edition, page no = 468.